Shield used in radiology are made up of?
1. Lead
2. Copper
3. Mercury
4. Silica

Correct answer: 1. Lead

Explanation: ANSWER: (A) LeadREF: Park 20th ed p. 651Effective protective measures in radiology units should include proper use of lead shields and lead rubber aprons (0.5 mm of lead) and a film badge or dosimeter.Permissible dose of radiation from man made sources: 5 rad/year